Double rise of temperature in 24 hrs is seen in case of -
1. Kala azar
2. Malaria
3. TB
4. Hodgkin's lymphoma

Correct answer: 1. Kala azar

Explanation: Double rise of temperature in 24 hrs is seen in case of Kala azar. Option 1, 2, 3, 4 1. L. donovani donovani, infection of the classic kala-azar ("black sickness") or dumdum fever type occurs in many parts of Asia, Africa and Southeast Asia. 2. Kala-Azar Fever: In the early stages of the disease, there is a mild irregular fever becoming intermittent at later stage and in 20% cases pyrexia shows a double rise in 24 hrs. Bone marrow involvement leads to: Anemia, leucopenia, thrombocytopenia Hypergammaglobulinemia Spleen |, Liver | Fever and Hyperpigmentation (Indian cases) LN| (African but not in Indian cases)